Drug of choice for acute severe asthma is:
1. Short acting beta 2 agonists
2. Long acting beta 2 agonists
3. Oral theophylline
4. Inhaled ipratropium bromide

Correct answer: 1. Short acting beta 2 agonists

Explanation: Ans. A: Short acting beta 2 agonists Severe asthma (Continuous symptoms; activity limitation; frequent exacerbations/hospitalization) requires: Regular high dose of inhaled steroid (800-2000 microgram/ day) through a large volume spacer device and inhaled long acting beta2 agonist (Salmeterol). Additional treatment with one or more of the following: Leukotriene antagonist/Sustained release oral theophylline/ oral beta2 agonist/ inhaled ipratropium bromide. Rescue treatment with short acting inhaled beta2 agonist In patients not adequately controlled or those needing frequent emergency care-institute oral steroid therapy.